Which of the following amino acid is both polar and ionic?
1. Arginine
2. Asparagine
3. Glutamine
4. Leucine

Correct answer: 1. Arginine

Explanation: 4 Classification of amino acids Polarity & Solubility Hydrophobic amino acid Tryptophan , Tyrosine , Methionine , Leucine , Valine , Isoleucine , Alanine , Phenylalanine , Proline , Glycine Hydrophilic amino acid Neutral amino acid Threonine , Serine , Tyrosine , Cysteine , Asparagine , Glutamine Acidic amino acid Aspartic acid , Glutamic acid , Asparagine , Glutamine Basic amino acid Histidine , Hydroxy lysine , Arginine , Lysine Side chain contentAliphatic groupAromatic groupHydroxy groupSulphur groupGlycine Alanine Valine LeucineIsoleucine Proline Methionine Tyrosine Tryptophan Phenylalanine Histidine Tyrosine Serine Threonine Cysteine Methionine Imino acidBasic groupAcidic groupAmides of acidic groupProline Histidine Arginine Lysine Aspartate Glutamate Asparagine Glutamine Basis of metabolism Ketogenic amino acidsGlucogenic amino acidsBoth glucogenic & ketogenic amino acidsEssential amino acidsLeucine Lysine Methionine ThreonineValine Isoleucine PhenylalanineTryptophan Semi essential amino acids -Histidine Arginine -Non-essential amino acids Hydroxylysine Arginine Alanine Asparagine Aspartate Cysteine Glutamate Glutamine Glycine Proline Hydroxyproline Serine Tyrosine (Refer Q 23)